Membrane integrity of RBC is due to
1. G-protein
2. Haemoglobin
3. Spectrin
4. Ankyrin

Correct answer: 3. Spectrin

Explanation: C i.e. SpectrinWhen the membrane of RBC are analyzed by SDS- PAGE, the protein with slowest migration & hence highest molecular weight being designated band 1 or spectrin. Spectrin is the major protein of RBC cytoskeleton responsible for integrity of RBC membraneQ. It has 1a and 2(3 chains forming triple stranded a -helix. At least 4 binding sites can be defined in spectrin (for) 1) Selfassociation 2) Ankyrin (band 2.1) 3) Actin (band 5), and 4) Protein 4.1SpectrinQ, ankyrin (Pyramidal shaped) and other peripheral membrane protein eg. actin, protein 4.1, adducin, tropomyosin & 4.9 help determine the shape, & flexibility of RBC.